RA antibody causes which type of hypersensitivity?
1. Type 1
2. Type 2
3. Type 3
4. India ink

Correct answer: 3. Type 3

Explanation: Ans. is 'c' i.e., Type 3Rheumatoid arthritis (caused by RA antibody) is type - 3 hypersensitivity.